Nosocomial pneumonia is most commonly caused by
1. Gram -ve bacilli
2. Gram + ve bacilli
3. Gram - ve cocci
4. Mycoplasma

Correct answer: 1. Gram -ve bacilli